Solvent used in varnish is/are:
1. Acetone
2. Alcohol
3. Ether
4. All of the above

Correct answer: 4. All of the above

Explanation: Varnish—A material for application to the floor of a prepared cavity; a solution of natural gum, synthetic resins or resins dissolved in volatile solvent, such as acetone, ether or chloroform; not necessarily a cement.
Phillip's science of dental material 12th edition page 309